In patients requiring a lingual frenectomy
1. The denture should not be made
2. The denture should be made before the surgery is performed
3. The denture should be made immediately after the surgery is performed
4. The denture should be made six months after the surgery

Correct answer: 2. The denture should be made before the surgery is performed